The condition in which physical symptoms are induced by parents in their children is:
1. Over anxious parents
2. Conversion disorder
3. Hypochondriasis
4. Munchausen syndrome by proxy syndrome

Correct answer: 4. Munchausen syndrome by proxy syndrome

Explanation: Ans. D. Munchausen syndrome by proxy syndromeFactitious disorder imposed on another (FDIA) formerly Munchausen syndrome by proxy (MSP) is a mental illness in which a person acts as if an individual he or she is caring for has a physical or mental illness when the person is not really sick.